D Tubocurarine acts by
1. Inhibiting nicotinic receptors at myoneural junction
2. Inhibiting nicotinic receptors at autonomic ganglion
3. Producing depolarising block
4. By inhibiting re-uptake of acetyl choline

Correct answer: 1. Inhibiting nicotinic receptors at myoneural junction

Explanation: Refer Katzung 10/e p 429 D-Tubocurarine is a skeletal muscle relaxant that acts by competitive inhibition of NM receptors at neuron muscular junction